Schiller- Duval bodies are seen in
1. Teratoma
2. Seminoma
3. Yolk sac tumour
4. Chorio - carcinoma

Correct answer: 3. Yolk sac tumour

Explanation: (Yolk - sac tumour) (736 - HM 5th) (692- Basic pathology 8th)YOLK-SAC-TUMOUR (synonyms - Endo dermal sinus tumurs, orchioblastoma, Infantile embryonal carcinoma)* This characteristic tumour is the most common testicular tumour of infants and young children up to the age of 4 years* AFP levels are elevated in 100% cases of yolk sac tumoursMicroscopic - The tumour cells may form distinctive perivascular structures resembling the yolk sac or endodermal sinuses of the rat placenta called Schiller - Duval bodies* There may be presence of both intracellular and extra cellular PAS positive hyaline globulesCHORIOCARCINOMA - M/E - Characteristic feature is the identification of intimately related syncytiotrophoblast and cyto trophoblast without formation of definite placental type villiTERATOMA - Honey - combed areas and foci of cartilage and boneSEMINOMA - Commonest malignant tumour of the testis and corresponds to dysgerminoma in femaleM/F. shows lobules of monomorphic seminoma cells separated by delicate fibrous stroma containing lymphocytic infiltration